Megaloblastic anaemia occurs due to
1. Iron deficiency
2. Folate deficiency
3. Vitamin C deficiency
4. Protein deficiency

Correct answer: 2. Folate deficiency